Shape of stab wound depends on -
1. Edge of weapon
2. Shape of weapon
3. Width
4. All of the above

Correct answer: 4. All of the above

Explanation: Ans. is 'd' i.e., AH of the above o A stab wound is an injury caused by a more or less sharp pointed weapon when it is driven in through the skin and its depth is the greatest dimension.o The size and shape of the stab wound in the skin is dependent on the type of weapon, cutting surface, edge sharpness, width and shape of weapon, body region stabbed, the angle of withdrawal, the direction of thurst, the movement of blade in body, cleavage direction, movement of person stabbed and the condition of tension or relaxation of skin.o With a double-edged weapon the shape of the wound will be elliptical or slit like and both angles will be sharp or pointed.o With a single-edged weapon, the shape will be triangular or wedge shaped and one angle of the wound will be sharp, the other rounded, blunt, or squared-off. Blunt end on the skin may have small splits, so-called "fish-tailing" if the back edge of the blade is heavy,o A spear or another round object causes a circular wound.